In extreme cold, which is not a mechanism of thermogenesis
1. Shivering
2. Increased secretion of epinephrine
3. Increased thyroxine
4. Piloerection

Correct answer: 4. Piloerection

Explanation: Piloerection- the standing up of hairs on the skin to increase thermal insulation.Ref: Ganong's review of medical physiology; 24th edition